Live TB bacilli culture is by -
1. Tinsdale medium
2. MGIT
3. MYPA medium
4. BYCE agar

Correct answer: 2. MGIT

Explanation: Ans. is 'b' i.e., MGIT Culture of Tubercular bacilli (M. tuberculosis) Isolation of micobacteria from clinical samples by culture is the most reliable method for diagnosis. M. tuberculosis can be cultivated by ? A) On conventional media Mycobacterial culture on conventional media is the gold standard for primary isolation. Various liquid and solid media are used. The solid medium most widely employed for routine culture of tubercular is Lowenstein - Jensen Medium (L.J. medium).